All the following are features of Von Gierke disease except
1. Hypoglycemia
2. Lactic acidosis
3. Hyperlipidemia
4. Muscle hypotonia

Correct answer: 4. Muscle hypotonia

Explanation: Type name Enzyme Deficiency Clinical Features Ia Von Gierke disease Glucose-6-phosphatase Glycogen accumulation in liver and renal tubule cells Hypoglycemia Lactic acidemia Ketosis Hyperlipidemia Reference: Harper; 30th edition; Table: 18-2; Page no: 179